Kartagener's syndrome includes -
1. Situs inversus
2. Bronchiectasis
3. Male infertility
4. All of the above

Correct answer: 4. All of the above